Which viral disease is transmitted by orofecal route?
1. Dengue
2. Poliovirus
3. Hepatitis B
4. Influenza virus

Correct answer: 2. Poliovirus

Explanation: Ans. (b) PoliovirusRef: Jawetz 24/e, chapter 36, Table 30-2